Which of the following is LEAST suggestive off infection with polio virus -
1. Low grade fever and malaise with complete resolution in 2 to 3 days
2. Biphasic illness with several days of fever, then meningeal symptoms and asymmetric flaccid paralysis 5 to 10 days later
3. Descending motor paralysis with preservation of tendon reflexes and sensation
4. Failure to isolate a virus from the cerebrospinal fluid in the presence of marked meningismus

Correct answer: 3. Descending motor paralysis with preservation of tendon reflexes and sensation